Pathological feature of pyogenic granuloma -
1. Epitheloid cells
2. Cavernous hemangioma
3. Granulation tissue
4. Giant cells

Correct answer: 3. Granulation tissue

Explanation: Ans. is 'c' i.e., Granulation tissueo On histologic examination they have a striking resemblance to exuberant granulation tissue, sometimes suggesting an infectious etiology.o Recurrence occurs infrequently as a solitary nodule or as satellite nodules.